According to Motor vehicle Act 1988, punishable quantity of Alcohol in blood is
1. 30 ml in 100 ml of blood
2. 20 ml in 100 ml of blood
3. 10 ml in 100ml of blood
4. 15 ml in 100ml of blood

Correct answer: 1. 30 ml in 100 ml of blood

Explanation: (A) 30 ml In 100 ml of blood> I.P.C. Sec. 185 Driving by a drunken person or by a person under the influence of drugs. - Whoever, while driving, or at- tempting to drive, a motor vehicle -(a) has, in his blood, alcohol exceeding 30 mg Per 100 ml. of blood detected in a test by a breath analyser, or(b) is under the influence of a drug to such an extent as to be incapable of exercising proper control over the vehicle.> shall be punishable for the first offence with imprisonment for a term which may extend to six months, or with fine which may extend to two thousand rupees, or with both; and for a second or subsequent offence, if committed within three years of the commission of the previous similar offence, with imprisonment for a term which may extend to two year, or with fine which may extend to three thousand rupees, or with both.> Explanation - For the purposes of this section, the drug or drugs specified by the Central Government in this behalf, by notification in the Official Gazette, shall be deemed to render a person incapable of exercising proper control over a motor vehicle. Corresponding Law. - Section 185 corresponds to section 117 of the Motor Vehicles Act, 1939. Objects and Reasons. - Clause 185 provides for punishment or driving under the influence of drink or drug